Which is true of Entero bacteriacae -
1. All are oxidase negative
2. Nitrate reduction negative
3. Glucose not femented by all
4. Motility by polar flagellum

Correct answer: 1. All are oxidase negative

Explanation: . Ans. is 'a' i.e., All are oxidase negative . Motile by peritrichate flagella (not by polar flagellum) or are non motile. . Glucose is feremented by all but some produce acid and gas, while other produce acid only. . Catalase (+) ye . Oxidase negative . Reduce nitrates to nitrite . May or may not be capsulated. . Are aerobic and facultatively anaerobic.